Iron supplements given for anemia,is which level of prevention
1. Primordial
2. Primary
3. Secondary
4. Tertiary

Correct answer: 3. Secondary

Explanation: Early diagnosis and treatment of disease comes under secondary level of prevention